Which of the following are pruritic lesions – a) Lichen planusb) Sun burnsc) Pemphigoidd) Psoriasise) SLE
1. ab
2. bc
3. abc
4. bcd

Correct answer: 3. abc

Explanation: Diseases causing mild or no itching :- Psoriasis, Pityriasis rosea, SLE, parapsoriasis, Secondary syphilis, Pemphigus.
it diseases causing moderate itching :- Contact dermatitis, Dry skin, Bullous pemphigoid, Photosensitivity (sunburn).
Diseases causing severe itching :- Lichen planus, Lichen simplex chronicus, Herpes gestationis, Mastocytosis, Dermatitis herpetiformis, scabies, Prurigo nodularis.